Drug resistance transmitting factor present in bacteria is :
1. Plasmid
2. Chromosome
3. Introns
4. Centromere

Correct answer: 1. Plasmid

Explanation: Plasmids contain extra-chromosomal DNAs that help in transferring the genes responsible for multiple drug resistance among bacteria. These are therefore involved in the horizontal transfer of resistance. As it is not due to penicillinase, beta-lactamase inhibitors like clavulanic acid cannot reverse this resistance.